Which of the following drugs used to treat type-II diabetes mellitus causes weight loss
1. Metformin
2. Glimepiride
3. Repaglinide
4. Gliclazide

Correct answer: 1. Metformin

Explanation: Ans. is 'a' i.e., Metformin Effect of antidiabetic drugs on weight Increased : Sulfonylureas, insulin, pioglitazone Decreased : Metformin, GLP-1 antagonists, pramlinitide No effect: DPP-4 inhibitors